X-ray were discovered by -
1. Roentgen
2. Madam curie
3. Becqueral
4. Houndsfield

Correct answer: 1. Roentgen

Explanation: (A) (Roentgen) (16 Apley 9th)* X-ray discovered by Roentgen in 1895.X-ray are produced by firing electrons at high speed onto a rotating anode. The resulting beam of X-rays is attenuated by the patient's soft tissues and bones, casting what are effectively, shadows, which are displayed as images on an appropriately sensitize plate or stored as digital information, which is than available to the transferred throughout the local information (IT) network.* Electromagnetic waves, non particulate, a beam of photons* Penetration power in air is 200 meters* Penetration power in lead is 0.3mmX-rays films are least sensitive to RED light* CT scan was invented by Geofiery hounds field* MRI - described fist by Bloch and Purcell, but applied as human analytical by Damadian and Lauterbur.* Radioactivity was discovered by - Henri - Becqueral